Blow out fracture refers to -
1. Fracture of orbit
2. Fracture of nasal septum
3. Fracture base of skull
4. Fracture of mandible

Correct answer: 1. Fracture of orbit

Explanation: Ans. is 'a' i.e., Fracture of orbit o Isolated fractures of orbital floor, when a large blunt object strikes the glob, are called "blow out fractures". Fractures of the floor of the orbito Zygomatic fracture and Le fort II maxillary fractures are always accompanied by fractures of orbital floor,o Isolated fractures of orbital floor, when a large blunt object strikes the globe, are called "blow out fractures".Clinical featureso Ecchymosis of lid, conjunctiva and sclera.o Endophthalmos with inferior displacement of the eye-ball. This becomes apparent when oedema subsides,o Diplopia, which may be due to displacement of the eyeball or entrapment of inferior rectus and inferior oblique muscles.o Hypoaesthesia or anaesthesia of cheek and upper lip, if infraorbital nerve is involved.Diagnosiso Water's view show a convex opacity bulging into the antrum from above, i.e., Tear drop opacity.o CT scan is diagnostic.